Which one of the following is primarily bacteriostatic ?
1. Ciprofloxacin
2. Chloramphenicol
3. Vancomycin
4. Rifampicin

Correct answer: 2. Chloramphenicol